Mummification is :
1. Dessication of the body
2. pugilistic attitude of the fishes
3. Electric burns
4. Burking

Correct answer: 1. Dessication of the body

Explanation: A i.e. Dessication of body